Organic nitrates can lead to the development of tolerance when used chronically. Which of the following preparations is least likely to develop tolerance:
1. Sustained release oral nitroglycerine
2. Sublingual nitroglycerine
3. Transdermal nitroglycerine
4. Oral pentaerythritol tetranitrate

Correct answer: 2. Sublingual nitroglycerine

Explanation: Tolerance develops to nitrates, when these are present constantly in the blood. Sublingual route leads to immediate action of nitrates and these act for a short time. Other preparations mentioned in the question are more likely to give consistent plasma levels of nitrates leading to development of tolerance.